Avascular coat in the eye is
1. Sclera
2. Cornea
3. Retina
4. Choroid

Correct answer: 2. Cornea

Explanation: The cornea is a transparent, avascular, watch-glass like structure. It forms anterior one-sixth of the outer fibrous coat of the eyeball. It gets its nutrition from aqueous humor predominantly.Ref: Khurana; 4th edition; Pg: 89